Most symmetric premolar
1. Upper 2nd premolar
2. Upper 1st premolar
3. Lower 2nd premolar
4. Lower 1st premolar

Correct answer: 1. Upper 2nd premolar